Sudden dorsiflexion of foot may lead to which of the following injuries:
1. Anterior talofibular ligament injury
2. Tendo Achilles avulsion injury
3. Rupture of deltoid ligament
4. Tarsal tunnel syndrome

Correct answer: 2. Tendo Achilles avulsion injury

Explanation: Most Tendoachilles(TA) tears occurs 2-6 cm above the calcaneal insertion (watershed zone) M/C mechanism of injury - sudden forced plantar flexion of foot, unexpected dorsiflexion of foot and violent dorsiflexion of plantar flexed foot. Test for TA rupture - Thompson test/ Simmonds test/O'Brien needle test. Simmond's Test: